Estrogen adminstration in a menopausal woman increase the:
1. Gonadotropin secretion
2. LDL cholesterol
3. Bone mass
4. Muscle mass

Correct answer: 3. Bone mass

Explanation: Postmenopausal women are at a high risk for fracture of bones due to osteoporosis. PTH and IL-1 are involved. Estrogen prevents osteoporosis by inhibiting osteoclastic activity,and inhibits release of IL-1 by monocytes.Increases absorption of calcium from gut,stimulates calcitonin secretion from C cells of thyroid and increases 1,25-dihydroxyvitamin D. All these lead to increased bone mineralisation D.C DUTTA'S TEXTBOOK OF GYNAECOLOGY,7TH edition,Pg no:47